Abesent bile duct is seen in -
1. Alagille syndrome
2. Crigler Najjar Syndrome
3. Gilbert's Syndrome
4. Primary Sclerosing Cholangitis

Correct answer: 1. Alagille syndrome

Explanation: Ans. is 'a' i.e., Alagille syndrome Alagille Syndromeo Autosomal dominant diseaseo JAG 1 and NOTCH 2 mutationo Affects the liver and Hearta. Livero Biliary atresiao Autoimmune hepatitiso Jaundiceo Liver cirrhosisb Hearto Pulmonary stenosiso Tetralogy of Falloto VSDo Overriding aortac. Othero Other presentations of Alagille's syndrome include an unusual butterfly shape of one or more of the bones of the spinal column (visible on an x-ray), certain eye defects (such as posterior embryotoxon), and narrowed pulmonary arteries that can contribute to increased pressure on the right heart valves. Many people with Alagille syndrome have similar facial features, including a broad, prominent forehead, deep-set eyes, and a small pointed chin.